8, 9 & 10th ribs are attached to 7th rib by which joint
1. Fibrous
2. Synovial
3. 1" cartilagenous
4. 2nd cartilaginous

Correct answer: 2. Synovial

Explanation: Ans. is 'b' i.e., Synovial "The eighth, ninth and tenth ribs are attached anteriorly to each other and to the seventh rib by their costalcailages and small synovial joints" Clinical anatomy.The first costal cartilages articulate with the manubrium by primary cartilaginous joints that permit no movement. Second to seventh costal cartilages articulate with sternum by synovial joints.Fifth to ninth costal cartilages articulate with one another by synovial joints.The tenth coilage is united to the ninth by fibrous joints.The cartilages of eleventh and twelfth ribs are embedde in the abdominal musculature.